Case control study is -
1. Prospective
2. Retrospective
3. Cross sectional
4. None of the above

Correct answer: 2. Retrospective